All are motile except?
1. CI. histolyticum
2. CI. Tetanosporum
3. CI. perfringens
4. CI. septicum

Correct answer: 3. CI. perfringens

Explanation: It is a pump Gram-positive bacillus was straight parallel sides and rounded or truncated ends about 4-6 x1 um in size usually occurring singly or in chains or small bundles. It is pleomorphic and filamentous and involution forms are common it is capsulated and nonmotile Ref: Ananthanarayan & paniker's Textbook of Microbiology 9th edition pg no 253